Which of the following disease is caused by inflammatory reaction involved by neutrophils?
1. Acute respiratory distress syndrome
2. Septic shock
3. Asthma
4. Arthritis

Correct answer: 1. Acute respiratory distress syndrome

Explanation: Diseases Caused by Inflammatory ReactionsDisordersCells and Molecules involved in injuryAcute Acute respiratorydistress syndromeNeutrophilsAsthmaEosinophils; IgE antibodiesGlomerulonephritisAntibodies and complement; neutrophils, monocytesSeptic shockCytokinesChronicArthritisLymphocytes, macrophages; antibodies?AsthmaEosinophils; IgE antibodiesAtherosclerosisMacrophages; lymphocytesPulmonary fibrosisMacrophages; fibroblastsRef: Robbins and Cotran Pathologic Basis of Disease; 9th edition; Chapter 3; Inflammation and Repair; Page no: 71; Table: 3-1